An acute apical abscess is usually a result of:
1. Periodontal pocket
2. Occlusal interference
3. Necrotic pulp
4. Chronic gingivitis

Correct answer: 3. Necrotic pulp